The enzyme pseudocholinesterase acts on :
1. Decamethonium
2. Tubocurarine
3. Gallamine
4. Suxamethonium

Correct answer: 4. Suxamethonium